According to Veau's classification system of clefts, defects involving the soft palate upto the alveolus and usually involving the lip is
1. Group A
2. Group B
3. Group C
4. Group D

Correct answer: 3. Group C